Vaginal delivery can be allowed in all of the following conditions, EXCEPT:
1. Monochrionic, monoamniotic twins
2. Mentoanterior
3. Extended breech
4. Dichorionic twins with first vertex & second breech

Correct answer: 1. Monochrionic, monoamniotic twins

Explanation: Mentoanterior face presentation, extended breech and dichorionic twins with first vertex and second breech, all these can be allowed for vaginal delivery. The clinical indications for elective caesarean section in twin gestations includes a non vertex first twin and monoamniotic twins. Complications of monochorionic monoamniotic twinning: Besides cord entanglement these twins are at greater risk of conjoining, preterm birth and twin-twin transfusion syndrome (TTTS).